The CAT in pediatric dentistry is
1. Caries Activity Test
2. Caries Advancement Test
3. Caries Risk Assessment Tool
4. Child Aptitude Test

Correct answer: 3. Caries Risk Assessment Tool